Not True about Ranula
1. Mucus extravasation cyst
2. Arises from submandibular gland
3. Seen in the floor of mouth
4. Is cystic swelling

Correct answer: 2. Arises from submandibular gland